Acetic acid staining of cervix shows the following EXCEPT :
1. Squamous metaplasia
2. Cervical carcinoma in situ
3. Cervical polyp
4. Cervical dysplasia

Correct answer: 3. Cervical polyp

Explanation: Cervical polyp Ans. is c i.e. Cervical polyp Colposcopy is done in case of suspected CIN and Cervical dysplasias. Colposcope is a binocular microscope. In colposcopy after visualising the suspected area on cervix with naked eyes, acetic acid (3 - 5%) is applied for better visualization.deg Principle : Application of acetic acid to normal glycogen producing epithelium of cervix does not produce any effect and it appears pink during colposcopy. But when acetic acid is applied to dysplastic epithelium which have large nuclei with abnormally large amounts of chromatin (i.e. wtein) acetic acid coagulates the proteins of the nucleus and cytoplasm, making the proteins opaque and whitethus dysplastic cells and cancerous cells appear white (called as Aceto white) (i.e. option "13- and "d"are correctleck The immature metaplaIfcells have larger nuclei and also show some effects of the acetic acid. Since, metaplastic epithelium is very thin, it does not appear while but instead appears grey and filmy (i.e. option 'a'ts correct). Cervical polyp can be diagnosed by direct visualization and does not need a colposcope to diagnose it.